TRUE about Heparin Indiced Thrombocytopenia (HIT) syndrome are all, EXCEPT:
1. LMWH shouldn't be used for treatment
2. It causes both arterial and venous thrombosis
3. More common with fractionated heparin
4. Occurs commonly in about a week of heparin therapy

Correct answer: 3. More common with fractionated heparin

Explanation: Frequency of HIT after exposure to unfractionated heparin (UFH) is 1% to 5%, whereas the frequency of HIT associated with the used of low-molecular-weight heparin (LMWH) is only 1%. HIT occur due to the formation of antibodies against the complex of heparin bonded to platelet factor 4. Most patients develop HIT after exposure to heparin for 4 days but may occur suddenly in patients with recent exposure (< 100 days). It is paradoxically associated with increased risk of arterial and venous thrombosis. The 4 "T"s have been recommended to be used in a diagnostic algorithm for HIT: thrombocytopenia, timing of platelet count drop, thrombosis and other sequel such as localized skin reactions, and other cause of thrombocytopenia not evident.